Live attenuated vaccines are A/E
1. Measles
2. Rabies
3. Oral polio
4. Yellow fever

Correct answer: 2. Rabies

Explanation: The internationally available cell culture and embryonated egg-based vaccine consist of rabies virus that has been propagated in cell substrates such as human diploid cells, Vero cells, primary Syrian hamster kidney cells etc (refer pgno 279 park 23rd edition)